In which hyperlipoproteinemia is chylomicron level increased?
1. Type I
2. Type IIb
3. Type III
4. Type IV

Correct answer: 1. Type I

Explanation: Ans. is 'a' i.e., Type I Type IType IIaType IIbType IIIType IVType VProblem* Decreased lipoprotein lipase or Apo C-II* LDL receptor deficiency* |LDL receptor, increased Apo B-100* Defect in Apo-EIncreased VLDL production and decreased elimin ation (Due to apo V deficiency)Same as in type IV, but more severeLipoprotein* Elevated chylomic rons (also VLDL some times)* |LDL* |VLDL. |LDL* Increased chylo- micron remnants and IDL* |VLDL* |VLDL and chylomicronCholesterol|||||||||N|||Triglyceride||||N|||||||||NomenclatureFamilial lipoprotein lipase deficiency* Familial hyper chole- serolemia* Familial combined hyperlipidemia* Familial dysbeta lipoprei tiemia* Familial hypertri- glyceridemia* Endogenous hypertri- glycedemia